Recognized GIT infections in AIDS include all except
1. HSV
2. CMV
3. Cryptococcus neoformans
4. Atypical mycobacteria

Correct answer: 3. Cryptococcus neoformans

Explanation: Cryptococcus neoformans usually causes a meningitis. Some of the GIT diseases in HIV/AIDS are - Oesophageal candidiasis small bowel disease large bowel diarrhoea ref - Davidsons medicine 23e pg 316